Cyclops are intermediate hosts for:
1. Kala - azar
2. Schistosomiasis
3. Dracunculus medinensis
4. Teniasis

Correct answer: 3. Dracunculus medinensis

Explanation: Ans: c (Dracunculus medinensis)Ref: Chatterjee Parasito, 12thed, p. 203